Which of the following drug is contraindicated in a glaucoma patient suffering from bronchial asthma:
1. Timolol maleate
2. Latanoprost
3. Betaxolol
4. Brimonidine

Correct answer: 1. Timolol maleate

Explanation: Ans. (a) Timolol maleateRef: A.K. Khurana 6th ed. 1236-37* Although timolol is considered as DOC for OAG in India, it is contraindicated in glaucoma patients suffering from bronchial asthma.* Timolol is a non selective Beta blocker which might aggravate the asthma of the patient.* For such patient Betaxolol is next best choice.